Barr body is found in the following phase of the cell cycle:
1. Interphase
2. Metaphase
3. GI phase
4. Telophase

Correct answer: 1. Interphase

Explanation: Barr body is found in interphase.